Zinc deficiency causes –  a) Hypo gonadism  b) Diarrhoea  c) Pigmentation  d) Psychosis  e) Defective carbohydrate metabolism
1. ab
2. acd
3. abd
4. bcd

Correct answer: 1. ab